Wound contraction is mediated by?
1. Epithelial cell
2. Myofibroblasts
3. Collagen
4. Elastin

Correct answer: 2. Myofibroblasts

Explanation: Wound contraction is initially caused by myofibroblasts and later by cross-linking of collagen fibers.